Diagnostic test for CSF rhinorrhea is -
1. Beta-2 microglobulin
2. Beta - 2 transferrin
3. Thyroglobulin
4. Transthyretin

Correct answer: 2. Beta - 2 transferrin

Explanation: Ans. is 'b' i.e., Beta-2 transferrinDetection of CSF LeakBiochemical testso Concentrations of Glucose are higher in CSF than in nasal discharge. Glucose value > 30-40 mg% and protein value < 100 mg % (max 200 mg %) support a diagnosis of CSF leak. Presence of b2 transferrin is the most definitive test for detection of CSF and b2 transferrin assay is the test of choice when a confirmatory testis needed, because of high sensitivity as well as specificity.o b-trace protein (prostaglandin D synthase) is also used, however it is nonspecific as it is also present in human testes, heart and seroma.Basic clinical testso Tissue test (Handker chief test) : - Unlike nasal mucous, CSF does not cause a tissue to stiffen,o Filter paper test: - Sample of nasal discharge on a filter paper exhibits a light CSF border and a dark central area of blood, i.e., double ring sign or halo sign.o Oueckensted test: - Compression of the jugular vein leas to increased CSF leak due to increase in ICP.o Rhinoscopy: - Visualization of CSF leak from paranasal sinus.CSF tracerso Intrathecal fluorescein dye adminstration. radionuclide cisternography, CT cisternography.